A poison which is illuminous, translucent and waxy?
1. Iodine
2. Ammonium bromide
3. Cobra venom
4. Yellow phosphorus

Correct answer: 4. Yellow phosphorus

Explanation: D i.e. Yellow phosphorus - Yellow (or white) phosphorus exists in translucent, waxy, luminous cylinders of garlicky smell & tasteQ. - Iodine occurs as brown (bluish-black), soft and scaly crystals with a metallic lusture and unpleasant taste. It gives off violet coloured vapour having a characteristic odour at all temperatures. - Caustic alkalis occurs as white powders. Whereas venom (salive) of cobra is faint transparent yellow and slightly viscous which becomes slightly turbid when exposed to sun.